Diameter at D16 of file 35
1. 0.67mm
2. 0.35mm
3. 0.067mm
4. 0.035mm

Correct answer: 1. 0.67mm